Total colonic aganglionosis is a variant of?
1. Crohn's disease
2. Ulcerative colitis
3. Hirschsprung's disease
4. Tropical sprue

Correct answer: 3. Hirschsprung's disease

Explanation: Ans. is 'c' i.e., Hirschsprung's disease * Hirschprung disease (Congenital aganglonic megacolon) is caused by defective migration of neural crest into the mesodermal layer of gut. There is aganglionosis (absence of ganglions) in a portion of intestinal tract. Intestinal segment lacks both Meissner submucosal and Auerbach myenteric plexuses.* Total colonic aganglionosis (Zuelzer Wilson syndrome) is particular variant of Hirschsprung's disease (5-8% cases) in which aganglionic portion extends to entire length of colon. In rare cases aganglionosis may extent from duodenum to rectum.